Sun flower cataract is seen in:
1. Galactosemia
2. Injuries
3. Laurence Moon Biedel syndrome
4. Wilson's disease

Correct answer: 4. Wilson's disease

Explanation: D i.e. Wilson's disease